True about delirium is all Except:
1. Preserved attention
2. Disturbed sleep
3. Disorientation
4. Hallucination

Correct answer: 1. Preserved attention

Explanation: Delirium Disturbance of consciousness with reduced ability to focus, sustain, or shift attention. perceptual disturbance, impaired cognition (memory deficit, disorientation) develops over a short period of time (usually hours to days) and tends to fluctuate. Above disturbance develops as a consequence of medical condition, substance intoxication/ withdrawal Reference: P.324p.325 10.2 DeliriumKaplan & Sadock's Comprehensive Textbook of Psychiatry, 9th Ed